True about endotracheal intubation is –
1. It reduces normal anatomical dead space
2. It produces decrease in resistance to respiration
3. Subglottic edema is most common complication
4. All of the above

Correct answer: 1. It reduces normal anatomical dead space

Explanation: Intubation decreases the dead space, as nasal space is bypassed and the lumen of endotracheal tube is less than that of natural airway.
Endotracheal intubation increases the airway resistance.
Bronchial intubation is the most common perioperative complication and sore throat is the most common post operative complication.